Rheumatoid factor in rheumatoid arthritis is important because:
1. RA factor is associated with bad prognosis
2. Absent RA factor rules out the diagnosis of Rheumatoid arthritis
3. It is very common in childhood Rheumatoid arthritis
4. It correlates with disease activity

Correct answer: 1. RA factor is associated with bad prognosis

Explanation: Answer is A (R. A. factor is associated with bad prognosis) : Rheumatoid factor is only of prognostic significance because patients with high titres tend to have more severe and progressive disease with extraarticular manifestations Rheumatoid factors are autoantibodies of IgMQ type that react with FC portion of IgGQ The presence of RA factor is not specific for R.A. The presence of Rheumatoid factor does not establish the diagnosis of RA